Which of the following is false about ambulatory pH monitoring
1. H2 blocking agents must be stopped before 3 days
2. PPI must be stopped before 14 days
3. Sensitivity and specificity is 70%
4. It is done before antireflux surgery

Correct answer: 3. Sensitivity and specificity is 70%

Explanation: It has a sensitivity and specificity of 92%